All are true predisposing factors for gallstone formation, except:
1. Weight loss leads to mobilization of tissue cholesterol leads to increased biliary cholesterol secretion while enterohepatic circulation of bile acids is decreased
2. Estrogens inhibits hepatic lipoprotein receptors, decrease uptake of dietary cholesterol, and increase biliary cholesterol absorption
3. Gallbladder hypomotility leading to stasis and formation of sludge
4. Clofibrate therapy: Increased biliary secretion of cholesterol

Correct answer: 2. Estrogens inhibits hepatic lipoprotein receptors, decrease uptake of dietary cholesterol, and increase biliary cholesterol absorption

Explanation: All others are true. Estrogens stimulate hepatic lipoprotein receptors, increase uptake of dietary cholesterol, and increase biliary cholesterol secretion, and leads to gallstone formation. Reference: Harrisons Principles of Internal Medicine, 18th Edition, Page 2618, Table 311-1